Stomach is supplied by all of the following except -
1. Short gastric artery
2. Left gastric artery
3. Superior mesenteric artery
4. Right gastric artery

Correct answer: 3. Superior mesenteric artery

Explanation: Ans. is 'c' i.e., Superior mesenteric artery * Arterial supply of stomach is as follows -# Along lesser curvature : Left gastric artery (branch of coeliac trunk) and right gastric artery (branch of proper hepatic artery).# Along greater curvature: Right gastroepiploic artery (branch of gastroduodenal artery) and left gastroepiploic artery (branch of splenic artery).# Fundus: 5-7 short gastric arteries (branches of splenic artery).